Nitric oxide produces its anti-aggregatory action by increasing the levels of
1. cAMP
2. cGMP
3. ADP
4. Phosphoinositol

Correct answer: 2. cGMP

Explanation: nitric oxide has major side effects that are mediated by activation of cytoplasmic soluble guanyl cyclase and stimulate the production of cGMP, an important 2nd messenger REF: ESSENTIALS OF MEDICAL PHARMACOLOGY: KD TRIPATHI:7TH EDITION;PAGE NO 103